A patient, resident of Himachal Pradesh presented with a series of ulcers in a row, on his right leg. The biopsyfrom the affected area was taken and cultured on Sabouraud's Dextrose agar. What would be the most likely causative organism?
1. Sporothrixschenckii
2. Cladosporium spp.
3. Pseudoallescheria boydii
4. Nocardia brasiliensis

Correct answer: 1. Sporothrixschenckii

Explanation: Ans. is 'a' i.e., Sporothrix schenckii(Ref: Harrison, 18th/e, 1665; Jawetz, 23rd/e, p. 633-634)Series of ulcers in a row suggests the diagnosis of sporotrichosis.